Folie-a-deux means -
1. Delusion of persecution
2. Sharing of delusion
3. Delusion of double
4. None

Correct answer: 2. Sharing of delusion

Explanation: Ans. is 'b' i.e., Sharing of delusionInduced delusional disordero It is also known as shared psychotic disorder or symbiotic psychosis.o It is characterized by sharing of delusions between two person (Folie a deux) or rarely between more individuals (Folie a troisy Folie a quatre, Folie a famille).o There is a dominant (active) person who induces delusions into the other (passive receptor or dependent person) Dependent person accepts the delusion of dominant person.o On separation of two, dependent person may give up his delusions, however the active (dominant) person often requires treatment.